All are true about pancreatic cancer, EXCEPT:
1. It is usually associated with poor prognosis
2. Most frequent site is in the head of the pancreas
3. 90 % cases are inoperable at the time of the diagnosis
4. 5 year survival is 40 %

Correct answer: 4. 5 year survival is 40 %

Explanation: Pancreatic cancer is associated with a poor prognosis. Infiltrating ductal adenocarcinomas account for the vast majority of cases. Most frequently site is in the head of pancreas. At the time of diagnosis 85-90% of patients have inoperable 5-year survival rate of only 5% Ref: Harrison, Edition -18, Page-786.